Hook worm is related with
1. Chandler's index
2. Metaform index
3. MELD score
4. Burrows in skin

Correct answer: 1. Chandler's index

Explanation: Chandler's index is the no. of hookworms present in 1 gram of faeces <200 no significance 200-250 potential danger 250-300 minor public health problem >300 major health problem